Sprinter gets its immediate energy from -
1. Glycogen
2. Fatty acid
3. Creatine phosphate
4. None

Correct answer: 3. Creatine phosphate

Explanation: Ans. is 'c' i.e., Creatine phosphate Source of energy for muscular activityo The immediate source of energy for all muscle contraction is ATP, followed immediately by creatine phosphate6. In stemous exercise ATP store is sufficient only for 1-2 seconds and creatine phosphate for another 5-7 seconds. Thus, energy rich phosphagen stores (ATP and creatine phosphate) permit severe muscle contraction for 8-10 seconds only. After this, energy is obtained from the metabolism of stored glycogen or from circulating glucose and free fatty acids, depending upon the availability- of oxygen. Energy source during in exercise can be summarized by : -Short burst of intense activity (e.g., 100 meter sprint or weight lifting) : - All energy comes from ATP and creatine phosphateQ. Breakdown of these compound is an anaerobic processesQ.Little longer intense exercise (e.g., 200 m eter sprint or 100 meter swim): - Besides ATP and creatine phosphate, glycogen is metabolised by anerobic6 glycolytic pathways to provide a ready source of energy. So, muscle work is anaerobic.in) Longer duration exercise (e.g., jogging, marathan run) : - The muscle w ork is aerobic and energy comes from aerobic utilization of glucose and free fatty acids. More glucose is utilized at the initial stage, but as the exercise is prolonged, free fatty acids become the predominant fuelQ.